An amalgam mix is difficult to remove from the capsule and appears excessively wet; Most common cause can be
1. Overtriturition
2. Undertriturition
3. Improper ratio
4. None of the above

Correct answer: 1. Overtriturition